The sulphonylurea with relative longer duration of action is:
1. Chlorpropamide
2. Tolbutamide
3. Glibenclamide
4. Glipizide

Correct answer: 1. Chlorpropamide

Explanation: The duration of action of various sulfonylureas is given below:
Tolbutamide: 6-8 hours
Glipizide: 10-16 hours
Glibenclamide: 16-24 hours
Chlorpropamide: 30-36 hours